The weakness of Vastus Medialis causes
1. Patellar Clunk Syndrome
2. Medial dislocation of patella
3. Lateral dislocation of patella
4. Weakness in abduction at Hip joint

Correct answer: 3. Lateral dislocation of patella

Explanation: The fibers of Vastus medialis are attached medial to cafue half of patella. They prevent lateral displacement of patella.